Receptors on cell membrane that activate ion channel after binding with agonists are:
1. Nicotinic cholinergic
2. Muscarinic cholinergic
3. Opioid mu receptors
4. GABA B receptors

Correct answer: 1. Nicotinic cholinergic

Explanation: Nicotinic cholinergic and GABAA are inotropic receptor (they are ion channel). Other receptors in the options are G-protein coupled receptor; known as metabotropic receptor.